A 45 year old female patient returns to your clinic with complaint of food lodgement in interproximal area of 47. On intraoral examination, 47 is restored with disto-occlusal amalgam restoration. What can be the most probable reason for this patient's  problem?
1. Contact area placed more gingivally
2. Occluso-gingivally contact area is wide
3. Bucco-linguallly contact area is wide
4. Contact area placed more occlusally

Correct answer: 4. Contact area placed more occlusally

Explanation: Proximal surface restorations often display an  occlusogingival  proximal  contour that is too straight, thereby causing the contact relationship to be located too far occlusally (with little or no occlusal embrasure). This condition allows food impaction betwee teeth with resultant injury to the interproximal gingiva and supporting tissues and invites caries.